Lichenburg flower is a classical finding in which of the following:
1. Lightening stroke
2. Electrical injuries
3. Joule burn
4. Scald burn

Correct answer: 1. Lightening stroke

Explanation: Ans. (a) Lightening strokeRef: The Essentials ofFSM by K.S. Narayan Reddy 31st ed./310-311* LIGHTENING STROKE: It is an electrical discharge from the cloud to the earth.* Classical finding: FILLIGREE BURN/ LITCHENBURG' S FLOWERS: superficial, irregular, thin resembling the branches of a tree also known as arborescent burn.* Most common site is shoulder flanks. (Cause is staining of tissues with Hb along the path of current.)